Which of the following drug when taken in excess can be removed by dialysis?
1. Digoxin
2. Salicylates
3. Benzodiazepines
4. Organophosphates

Correct answer: 2. Salicylates

Explanation: Forced alkaline diuresis or hemodialysis is indicated in severe salicylate poisoning to remove unabsorbed drug. Other treatment modalities in salicylate poisoning are external cooling and intravenous fluids with sodium, potassium, bicarbonate and glucose. Gastric lavage is done to remove the unabsorbed drug. Blood transfusion and vitamin K is given if bleeding occurs. Fatal dose in salicylate poisoning is 15-30gm. Serious toxicity occur at serum salicylate levels >50mg/dl. Manifestations include vomiting, dehydration, acidotic breathing, hypoglycemia, delirium, hallucinations, convulsion, coma and death due to respiratory failure and cardiovascular collapse. Ref: Essentials of Medical Pharmacology, 5th Edition, Pages 172-3; Irwin and Rippe's Intensive Care Medicine By Richard S. Irwin, Page 1553; Pediatric Critical Care Medicine: Basic Science and Clinical Evidence By Derek S. Wheele, Page 1633.